Delta cells of pancreas secretes
1. Glucagon
2. Insulin
3. Somatostatin
4. Pancreatic polypeptide

Correct answer: 3. Somatostatin

Explanation: Ans. (c) Somatostatin